c-ANCA is characteristic for :
1. Polyarteritis Nodosa
2. R.P.G.N.
3. Henoch's Schonlein Purpura
4. Wegeners granulomatosis

Correct answer: 4. Wegeners granulomatosis

Explanation: Answer is D (Wegener's granulomatosis) : Antineutrophilic cytoplasmic antibody directed against cytoplasmic proteinase-3 (cANCA) is found in 90-95% if patients with Wegener's granulomatosis.